Nasal angiofibroma is seen in which age
1. Adolescent male
2. Adult male
3. Elderly male
4. Elderly female

Correct answer: 1. Adolescent male

Explanation: Nasal angiofibroma s a rare tumour, though it is the commonest of all benign tumours of the nasopharynx. The exact cause is unknown. As a tumour is predominantly seen in adolescent males in the second decade of life, it is thought to be testosterone dependent. Angiofibroma, as the name implies, is made up of vascular and fibrous tissues: the ratio of the two components may vary. Mostly, the vessels are just endothelium-lined spaces with no elastic or muscle coat. This accounts for the severe bleeding and also the bleeding cannot be controlled by the application of adrenaline (Ref: Diseases of ear, nose and throat, PL Dhingra, 7th edition, page 279)